Racemic mixture of two enantiomers with different pharmacokinetic pharmacodynamic properties is seen in
1. Digoxin
2. Dilantin
3. Verapamil
4. Octreotide

Correct answer: 3. Verapamil

Explanation: Refer Goodman and Gilman 11e p836 Verapamil is present as a racemic mixture of R and S verapamil. S verapamil has more stronger negative dromotropic action and higher first pass metabolism than R verapamil